Earlier manifestation of Rickets is -
1. Craniotabes
2. Rashitic rosary
3. Harrison groove
4. Pigeon chest

Correct answer: 1. Craniotabes

Explanation: Ans. is A Craniotabes (Ref : O.P. Ghai, 6/e, p 127-129 (5/e, p 83), Nelson 17/e, p 187-189).C/f of RicketsUsually manifest in 1st or 2nd year, rare below 3 months.Craniotabes is the earliest manifestation of Rickets.Large Anterior fontanelle*.Bossing of frontal and parietal bones.Rachitic rosary* (Costochondral function prominent).Pigeon Breast* (Sternum projects forward)Harrison's groove *Scoliosis * kyphosis or lordosis can occur.Epiphysis of long bones widened*.Anterior bowing of legs, knock knee and coxa vera*.